Which does not contribute to Enterobillary Fistula ?
1. Duodenal ulcer
2. Gall stones
3. Gastric ulcer
4. Carcinoma gall bladder

Correct answer: 3. Gastric ulcer

Explanation: Ans. is 'c' i.e. Gastric ulcer